A 45 years old female presented to OPD with dull aching pain to right upper quadrant. She has two kids and taking OCPs from the last 5 years. Nodular enhancement was seen in the mass lesion on MRI. Which of the following is false about given condition ?
1. M/C benign tumor of liver .
2. FNAC / Biopsy are contraindicated .
3. Rarely associated with Kasabach Meritt syndrome .
4. Treatment of choice is Radical Excision .

Correct answer: 4. Treatment of choice is Radical Excision .

Explanation: History - (i) Patient is a female(ii) H/o OCP from last 5 years C/F - Asymptomatic Incidentally detected on radiological investigation Dull aching pain in right upper quadrant On CECT - Peripheral nodular enhancement - Suggestive of hemangioma Hemangioma - MC benign Tm of liver Most patient remain asymptomatic (if tumor size < 5cm size) If size >5cm - Giant hemangioma *Associated with KASABACH-MERRITT syndrome Consumptive coagulopathy can be seen FNAC & Bx- Contraindicated (because it's a vascular Tumor) IOC- MRI TOC- Enucleation